Warfarin embryopathy is due to action of:
1. Osteophysin
2. Osteotensin
3. Osteocalcin
4. Osteogenin

Correct answer: 3. Osteocalcin

Explanation: Ans: (c) OsteocalcinRef: style="font-size: 1.04761904761905em; font-family: Times New Roman, Times, serif; margin: 0 0 0 4px">Warfarin embryopathyThe process of osteocalcin carboxylation in human bone formation is a vitamin K-dependent process and that circulating osteocalcin will be altered structurally by warfarin administrationThis finding has pathophysiological implications for: o Fetal warfarin embryopathy syndromeBone disease associated with chronic liver diseasesOsteoporosisIn all the above conditions vitamin K deficiency has been implicated Note:The similarity between fetal warfarin syndrome and X-linked recessive chondroplasia puntata has suggested a common pathogenesis for these two disorders. Warfarin appears to inhibit arylsulfatase, a genetically determined deficiency which is responsible for chondroplasia puntata.